The term restriction map primarily refers to the mapping of sites of
1. Action of bacteriophages
2. Cleavage of restriction enzymes
3. Mutational hotspot
4. DNA fingerprinting

Correct answer: 2. Cleavage of restriction enzymes

Explanation: Restriction map of DNA mapping of sites of cleavage of restriction enzymes on a DNA fragment. Identifies fragments of DNA that contain specific genes or sequences. Example of a restriction map of bacteriophage DNA